Microscopy of corneal ulcer showed branching septate hyphae. The probable diagnosis –
1. Candida
2. Mucor mycosis
3. Aspergillus
4. Histoplasma

Correct answer: 3. Aspergillus

Explanation: Amongst the given options candida and aspergillus cause a corneal ulcer.
Branched septate hyphae and involvement of cornea favour the diagnosis of aspergillus.
Candia will show yeast-like form and psedomycelia (not branched septate hyphae).